All of the following are suggestive of behcets Except
1. Orogenital ulcers
2. Polyahiritis
3. Uveitis
4. Livedo reticularis

Correct answer: 4. Livedo reticularis

Explanation: Criteria for Bechet's syndrome Essential criteriaNon-essential criteriaOther clinical featuresRecurrent oral ulceration Painful Shallow with central yellowish necrotic base Heals without scarring Recurrent genital ulcers - scrotal scarring, do not involve glans or urethra Eye - panuveitis, retinal vasculitis Skin - Erythema nodosum, Pseudofolliculitis, Papulopustular lesions, acneform nodules Positive pathergy test Non deforming arthritis of knee, ankles Thrombophlebitis Dural vein thrombosis Mucosal ulceration of GITPulmonary artery vasculitis (Refer: Mohindra's Fundamentals of Orthopedics, 2nd edition, pg no. 527)